Aortic regurgitation is seen in all except-
1. Rheumatic fever
2. Infective endocrditis
3. Marfan syndrome
4. Myocardial infarction

Correct answer: 4. Myocardial infarction